The repolarization phase of an action potential is due to
1. Increasing sodium permability and increasing potassium permeability
2. Increasing sodium permeability and decreasing potassium permeability
3. Decreasing sodium permeability and an immediate increasing potassium permeability
4. Decreasing sodium permeability and a delayed increase potassium permeability

Correct answer: 4. Decreasing sodium permeability and a delayed increase potassium permeability

Explanation: There is a decrease in sodium permeability (inactivation of the sodium channels) and a delayed increased in potassium permeability during the repolarization phase of the action potential. The pump plays no direct role in the action potential.